Milk ring test is seen in-
1. Brucellosis
2. Bacteroides
3. Tuberculosis
4. Salmonellosis

Correct answer: 1. Brucellosis

Explanation: Ans. is 'a' i.e., Brucellosis o Tests for detection of brucellosis in herds of cattle.Rapid plate agglutination testRose bengal card testo Tests to detect antibodies in milk.Milk ring testWhey agglutination test